Onanism is otherwise known as:-
1. Masturbation
2. Sodomy
3. Buccal coitus
4. Fetishism

Correct answer: 1. Masturbation

Explanation: Onanism / Ipsation /masturbation: self-stimulation which effects sexual arousal